Conjugated hyperbilirubinemia is seen in:
1. Dubin Johnson syndrome
2. Gilbert's syndrome
3. Criggler Najjar type I
4. Criggler Najjar type II

Correct answer: 1. Dubin Johnson syndrome

Explanation: Ans. A: Dubin Johnson syndrome